Lateral repositioning flap is done for
1. gingival recession
2. high frenal attachment
3. increasing the width of attached gingiva
4. shallow vestibule

Correct answer: 1. gingival recession